Conn’s Syndrome is characterized by increased synthesis of
1. Adrenaline
2. Aldosterone
3. Corticosteroids
4. None of the above

Correct answer: 2. Aldosterone

Explanation: →  Conn’s Syndrome is a rare health problem, that occurs when the adrenal glands make too much aldosterone. This problem is also known as primary hyperaldosteronism. 
→ Aldosterone is a hormone, that controls salt and potassium level in the blood pressure.Too much leads to high blood pressure. 
→ It is common is females than in males. 
→ It can happen at any age, but more in people in their 30s and 40s.